Best specimen for anaerobic culture ?
1. Exudates from wound
2. Pus aspirated in vial
3. Swab from wound
4. Mid-stream urine

Correct answer: 2. Pus aspirated in vial

Explanation: Ans. is 'b' i.e., PUS aspirated in vial Ideal specimens for anaerobic cultures are samples of needle aspirates and proper tissue specimens. Anaerobic swabs are usually discouraged. Important specimens are :- Local abscess : Needle aspirates. Pulmonary : Transtracheal aspirates, lung aspirates, pleural fluid, protected bronchial wash. Abdominal : Abdominal abscess aspirate. Urinary tract : Suprapubic bladder aspirate. Genital tract : Culdocentesis specimen, endometrial swabs. CNS : CSF, Aspirate of abscess. Aspirated material then injected into one of the following :? Anaerobic swab Thioglycollate enrichment broth Oxygen free vials Exudates, swabs from burns, wound and skin abscesses are generally unacceptable for anaerobic culture. Cysts and abscess are contaminated with normal anaerobic flora. Voided and catheterized urine are contaminated with distal urethral anaerobes and are therefore unacceptable for anaerobic culture.